True statement regarding first order kinetics is
1. Date of elimination is independent of Plasma concentration
2. Rate of elimination is proportional to plasma concentration per unit time
3. Half-Life increases with those
4. Clearance decreases with those

Correct answer: 2. Rate of elimination is proportional to plasma concentration per unit time

Explanation: Ref-KDT 7/e p30-31 In first order kinetics the rate of elimination is proportional to plasma concentration of the drug . Clearance in half life for constant in first order kinetics